The pseudomyxoma peritonei occurs as a complication of the following ovarian tumours :
1. Serous cyst adenoma
2. Mucinous cyst adenoma
3. Dysgerminoma
4. Gonadoblastoma

Correct answer: 2. Mucinous cyst adenoma

Explanation: Ans. is b i.e. Mucinous cyst adenoma Pseudomyxoma peritonei is a condition in which the neoplastic epithelium secretes large amounts of gelatinous mucinous material. It is most commonly seen secondary to : Ovarian mucinous carcinoma; mucinous cystadenoma. Appendicular carcinoma (well differentiate carcinoma). Mucocoele of appendix (less commonly seen) Even after removal of the ovarian tumours, these cells continue to secrete mucin. Tendency of recurrence is present. Prognosis is Poor. Management : Hysterectomy with BSO with removal of mucin peritoneal implants along with appendix.